Which of the following is false regarding Fibrinoid necrosis?
1. It is due to immune complex deposition
2. Gives eosinophilic appearance
3. Type II hypersensitivity reaction
4. Seen in malignant hypertension

Correct answer: 3. Type II hypersensitivity reaction

Explanation: Fibrinoid necrosis is example for type III hypersensitivity reaction.